Stages of pneumonia are all except:-
1. Stage of Exudation
2. Stage of Red hepatisation
3. Stage of Cavitation
4. Stage of Resolution

Correct answer: 3. Stage of Cavitation

Explanation: The stages of pneumonia/consolidation are:- 
i. Stage of Exudation 
ii. Stage of Red hepatisation 
iii. Stage of Grey hepatisation 
iv. Stage of Resolution